All of the following therapies may be required in a 1 hour old infant with severe birth asphyxia except ____________
1. Glucose
2. Dexamethasone
3. Calcium gluconate
4. Normal saline

Correct answer: 2. Dexamethasone

Explanation: Treatment with dexamethasone in neonatal asphyxia initiates hypoxic ischaemic brain injury. Reference: GHAI Essential pediatrics, 8th edition